DIC is seen in:
1. Acute promyelocytic leukemia
2. Acute myelomonocytic leukemia
3. CML
4. Autoimmune haemolytic anemia

Correct answer: 1. Acute promyelocytic leukemia

Explanation: The most common causes are bacterial sepsis, malignant disorders such as solid tumors or acute promyelocytic leukemia, and obstetric causes (pregnant women with abruptio placentae, or with amniotic fluid embolism).